Entacapone acts by inhibiting which of the following enzyme?
1. COMT
2. MAO-A
3. MAO-B
4. Decarboxylase

Correct answer: 1. COMT